Which of the following is an Antimetabolite
1. Methotrexate
2. Cyclosporine
3. Etoposide
4. Vinbalstine

Correct answer: 1. Methotrexate

Explanation: Refer KDT 6/e p 823 Methotrexate is an Antimetabolite that acts By inhibiting DHFRase